Bad prognosis is multiple myeloma is indicated by -
1. WBC > 20000
2. Azotemia
3. Hypocalcemia
4. Low or normal M component production

Correct answer: 2. Azotemia